Killian's incision is used for:
1. Submucous resection of nasal septum
2. Intranasal antrostomy
3. Caldwell-Luc operation
4. Myringoplasty

Correct answer: 1. Submucous resection of nasal septum

Explanation: Ans. A Submucous resection of nasal septum Deviated nasal septum with symptoms can be treated by: Submucous resection: done only in adults Septoplasty - can be done in adults as well as children Incision used = Killian's incision Incision used = Freer's incisioin